Which human infection spreads through urine:
1. Leptospira
2. Legionella
3. Plague
4. Diphtheria

Correct answer: 1. Leptospira

Explanation: Ans: A (Leptospira) 'Transmission of leptospiraQ to humans may follow direct contact with urineQ, blood, or tissue from an infected animal or exposure to a contaminated environment; human-to-human transmission is rare. Since leptospires are excreted in the urine and can survive in water for many months, water is an important vehicle in their transmission. Epidemics of leptospirosis may result from exposure to /7ood waters contaminated by urine from infected animals - Harrison 17th/1049"Plague: Infection is transmitted to humans typically by flea bite and infrequently by direct contact with infected animal tissues or by airborne droplet"- Harrison 17th/980"Multiple modes of transmission of Legionella to humans exist, including aerosolization9, aspiration, and direct instillation into the lungs during respiratory' tract manipulations. Aspiration is now known to be the predominant mode of transmission, but it is unclear whether Legionella enters the lungs via oropharyngeal colonization or directly via the drinking of contaminated water"- Harrison 17th/929C. diphtheriae is transmitted via the aerosol route, primarily during close contact. There are no significant reservoirs other than humans"- Harrison 17th/890Leptospirosis: ReviewThey are associated with the three'R's:Rats: Rodents especially Rats are the most important reservoirsRice fields: 'Farm workers nowr represents the group at greatest risk'. Thus farm workers in rice fields constitute an important risk group. Leptospirosis is more common in farm workers that it is in sever workers.Rains: 'Human are infected when Leptospires in water contaminated by urine of carrier animals enters the body through cuts or abrasions.' Such transmission is thus increased in the rainy season. Leptospires | (Weil's Syndrome)Lctero-hemorrhagicus fever |||Hepato renal damageQ JaundiceQPurpuric hemorrhagesQRenal failureQAlbuminuriaQBleeding diasthesisPyrexiaQ Fig.; Leptospires